The following drugs can produce ototoxicity except:
1. Ethacrynic acid
2. Aztreonam
3. Gentamicin
4. Frusemide

Correct answer: 2. Aztreonam

Explanation: ESSENTIALS of medical PHARMOCOLOGY SEVENTH EDITION K. D TRaiPATHI Page:730 MONOBACTAMS Aztreonam It is a novel b-lactam antibiotic in which the other ring is missing (hence mono- bactam). It inhibits gram-negative enteric bacilli and H. influenzae at very low concentrations and Pseudomonas at moderate concentrations, but does not inhibit gram-positive cocci or faecal anaerobes. Thus, it is a b-lactam antibiotic with a spectrum resembling aminoglycosides. It is resistant to gram-negative b lactamases. The main indications of aztreonam are hospital- acquired infections originating from urinary, biliary, gastrointestinal and female genital tracts. Lack of cross sensitivity with other blactam antibiotics except possibly ceftazidime is the most prominent feature of aztreonam: permiting its use in patients allergic to penicillins or cephalo- sporins. Rashes and rise in serum aminotrans- ferases are the notable adverse effects. It is eliminated in urine with a tlfz of 1.8 hr. Dose: 0.5-2 g i.m. or i.v. 6-12 hourly. AZENAM, TREZAM 0.5, 1 .0, 2.0 g/l inj .